Bacterial vegetations in heart valves are seen in:
1. Rheumatic heart disease
2. Infective endocarditis
3. A-V shunt
4. Corpulmonale

Correct answer: 2. Infective endocarditis